Which of the following statements can be regarded as primary action of inhibin?
1. It inhibits secretion of prolactin
2. It stimulates synthesis of estradiol
3. It stimulates secretion of TSH
4. It inhibits secretion of FSH

Correct answer: 4. It inhibits secretion of FSH

Explanation: Follicle-stimulating hormone (FSH) one of the gonadotropins of the anterior pituitary, which stimulates the growth and maturity of graafian follicles in the ovary, and stimulates spermatogenesis in the male.Ref: Ganong's review of medical physiology; 24th edition; page no:-333